Urinary ascites is due to -
1. Injury to bladder during birth
2. Ureteric obstruction
3. Cong. urethral atresia
4. All

Correct answer: 4. All

Explanation: Answer (All) Urinary ascites actually represent a transudation of retroperitoneal urine across thin and permeable peritoneum. Most common lesion associated with urinary ascites is ----> posterior urethral valve Second most common cause hydronephrosis due to tong. pelviureteral jn. obstruction Other causes are - Urethral stricture - Urethral atresia - Other bladder outlet obstructions Ectopic ureterocele Neurogenic bladder Hydrocolpos Sacrococcygeal teratoma Bladder perforation secondary to traumatic delivery Urachal lacerations secondary to umbilical artery catheterisation.